Temperature of pasteurization:
1. 121 degrees for 15 minutes
2. 63 degrees for 30 minutes
3. 160 degrees for 1 hour
4. 140 degrees for 1 hour

Correct answer: 2. 63 degrees for 30 minutes

Explanation: Ans. B. 63 degrees for 30 minutes.a. Holder method of pasteurization-moist heat at 63 C for 30 minutesb. Flash method of pasteurization-moist heat at 72 C for 15-20 seconds followed by quickly cooling to 13 C.c. Ultra-High Temperature (UHT) of pasteurization-moist heat 140degC for 15 sec/ 149deg C for 0.5 sec.